Torcetrapib induces its hypolipidemic action by-
1. Inhibiting cholesterol ester triglyceride transport protein
2. Activating lipoprotein lipase
3. Inhibiting lipolysis
4. Inhibiting cholesterol absorption

Correct answer: 1. Inhibiting cholesterol ester triglyceride transport protein

Explanation: Ails, is 'a' i.e., Inhibiting cholesterol ester triglyceride transport protein Hypolipidemic drugsHMG-CoA reductase iuhibitors (statins) - Lovastatin, Simvastatin, Pravastatin, Atorvastatin, Rosuvastatin.Bile acid sequestrants (Resins) - cholestyramine, colestipol.Activate lipoprotein lipase (fibric acid derivatives) - clofibrate, gemfibrozil, bezafibrate, fenofibrate.Inhibit lipolysis and triglyceride synthesis - Nicotinic acid.5.Other - Probucol, Gugulipid, Ezetimibe, Avasimibe, Torcetrapib.o Ezetimibe inhibits intestinal cholesterole absorption.o Avasimibe inhibits enzyme acyl Coenzyme A : cholesterol acyl transferase-1 (ACAT-1) which causes esterification of cholesterol.o Torcetrapib inhibits cholesterol ester triglyceride transport protein - | HDL cholesterol.